Which of the following insecticieds is natural contact poison?
1. Lindane
2. Carbaryl
3. Rotenone
4. Propoxur

Correct answer: 3. Rotenone

Explanation: Insecticides are classified as - 1.contact poisons 2.stomach poisons 3.fumigants The contact poisons are divided as natural and synthetic. Natural contact poisons are pyrethrum, rotenone, derris, nicotine, mineral oils. Synthetic contact poisons are organochlorine compounds, organo phosphorous compounds, carbamates. Stomach poisons are Paris green, sodium fluoride. Fumigants are hydrogen cyanides, methyl bromide, sulfur dioxide. Park's textbook of preventive and social medicine.K Park. Edition 23.Pg no: 783.